Most of the pseudomonas infection is based on opportunism. The exception is:
1. Glanders
2. Pneumonia
3. Otitis media
4. Skin infection

Correct answer: 1. Glanders

Explanation: The pseudomonas: They are heterogeneous group of gram-negative bacteria Common feature among them is the inability to ferment lactose. There are three medically important genera--Pseudomonas, Burkholderia, and Stenotrophomonas The pathogenicity of most is based on opportunism; the exceptions are the organisms that cause melioidosis (B. pseudomallei) and glanders (B. mallei) P. putida, P. fluorescens, and P. stutzeri infect humans rarely Ref: Harrison, E-18, P-1266.